Which of the following are advantages of delayed cord clamping?
1. Lesser risk of hypothermia
2. Lesser risk of hypoglycemia
3. Lesser risk of hypertension
4. Lesser risk of anemia

Correct answer: 4. Lesser risk of anemia

Explanation: Delayed Cord Clamping (Now included in Neonatal resuscitation) - Wait for at-least 30 seconds after birth, before clamping cord - Should be done in all stable term & preterm neonates - Done in Vigorous Neonates (don't wait in c/o sick neonates) | HR > 100 Good muscle tone Strong Respiratory efforts Advantages - Higher Hb level - Lesser anemia - less need for blood transfusion - Higher BP - less chances of shock - Decreases risk of NEC & IVH